In normal eyes, the vitreous occupies in(4-KH)
1. Anterior chamber
2. Posterior chamber
3. Posterior segment of the eyeball
4. Angle of the anterior segment

Correct answer: 3. Posterior segment of the eyeball

Explanation: (Posterior segment of the eye ball): Ref 4 - KHSegments and chambers of the eve ball1. Anterior segment: It includes crystalline lens, and structures anterior to it viz, Iris, cornea, and two aquoues humour - filled spaces, anterior and posterior chambers.(I) Anterior chambers: It is bounded anteriorly by the back of cornea, and posteriorly by the iris and part of ciliary body.It is shallower in hypermetropes and deeper in myopes(II) Posterior chambers: It is a triangular space, bounded anteriorly by the posterior surface if iris and part of the ciliary body, posteriorly by the crystalline lens and its zonules and laterally by the ciliary body.2. Posterior segment: It includes structures posterior to lens viz, vitreous humours, retina, choroids and optic disc.